Which of the following is true about clomiphenc citrate?
1. Enclomiphene is anti-estrogenic
2. Increases pregnancy rate 3 times as compared to placebo
3. Incidence of twin pregnancy is 5-6%
4. It has been shown to increase fertility in oligospermic males in randomized controlled trials

Correct answer: 1. Enclomiphene is anti-estrogenic

Explanation: Ans. a. Enclomipheneis anti-estrogenic Eticlomiphene is more potent isomer and antiestrogenic whereas zuclomiphene is weak antiestrogenic (AIIMS May 2010, May 2009 Repeat).Clomiphene Citrate: It is usual first choice for ovulation induction in most patients because of relative safety, efficacy, route of administration and relatively low cost. Novak s 14/e p1064"Clomiphene Citrate: Multiple ovulation and multiple pregnancy in IOdeg/k "- Shaw 15/e p3l4Pregnancy occurs in 40-50% of women following treatment and even though the dosage is carefully monitored. 5-10% of the conceptions are multiple. "-Jeffcoates 7/e p105A randomized clinical trial conducted by WHO involving nearly 200 men and over 1300 couple months of observation found no differences among men treated with clomiphene or placebo.Moreover a meta analysis including 10 randomized trials involving over 700 men concluded that evidence is inefficient to indicate anti-estrogen treatment improves semen quality or male infertility. Leon speroff 8/e p1281Clomiphene Citrate* It is non-steroidal triphenylethylene compound related to diethylstilbestrol (DES).* It is an isomer of cis and trans form.* Enciomiphene is more potent isomer and antiestrogenic whereas zuclomiphene is weakantiestrogenic.Mechanism of Action:* It hinds to estrogen receptors in the hypothalamus, so the negative feedback of estrogen on FSH is prevented resulting in pulsatile GnRH frequency and rise in FSH and LH.* The antiestrogenic effects of clomiphene are seen on cervix and endometrium.Clomiphene CitrateIndicationsContraindications* Anovulation, PCOS* Anovulatory DUB with infertilityAmenorrhea and anovulation following the use of OCPs (Postpill amenorrhea)* IVF, GIFT technique and assisted reproduction technique* Cystic ovaries* Chronic liver disease* Scotoma* Hypogonadotrphic and hypoestrogenic statesResult:* 60-80% ovulate but 30-40% conceive because of antiestrogenic effect of clomiphene in cervical mucus leading to thick cervical mucus.* Multiple pregnancy chances with clomiphene are 10%.